World Tuberculosis Day is celebrated on ?
1. 24th March
2. 7th April
3. 22nd April
4. 1st December

Correct answer: 1. 24th March

Explanation: Important dates Important days 24th March World Tuberculosis day 7th April World health day 22nd April World earth day 1st December World AIDS day 5th June World environment day 1st July Doctors day - Theme of World TB day 2018 :"Wanted, Leaders for TB-free world"